Weakness of both Adduction and Abduction is seen in-
1. Duane's Retraction Syndrome Type 1
2. Duane's Retraction syndrome Type 2
3. Duane's Retraction syndrome Type 3
4. All

Correct answer: 3. Duane's Retraction syndrome Type 3

Explanation: Duane's retraction syndrome is a congenital oculat motility defect occuring due to paradoxical innervation of lateral or medial or both rectus muscles. Type I DRS - Limitation of abduction Type II DRS - Limitation of adduction Type III DRS - Limitation of both abduction and adduction Ref; A.K.Khurana;6th edition;Page no: 358